The pleura that covers the surface of the lungs is the
1. Pleural Cavity
2. Pleural Fluid
3. Visceral Pleura
4. Parietal Pleura

Correct answer: 3. Visceral Pleura

Explanation: C: The visceral pleura covers the surface of the lung.
A, B: The pleural cavity, between the parietal and visceral pleurae, is filled with a small volume of pleural fluid produced by the pleural membranes.
D: The parietal pleura lines the walls of the thorax, diaphragm, and mediastinum